A 32-year-old woman comes to the psychiatry outpatient with complaints of constricting headaches and neck pain as well. The patient reports that her symptoms have worsened in last 6 months after she joined a new job. Her husband reports that she always had a tendency to worry excessively, even about the small things. The patient describes that she feels that her mind never stops working and that she is alway worried about either her job, or her kids or her parents. She reports feeling of irritability and fatigue. Family history is significant for major depressive disorder in her mother. Which of the following is the most likely diagnosis?
1. Acute stress disorder
2. Adjustment disorder
3. Generalized anxiety disorder
4. Obsessive-compulsive disorder

Correct answer: 3. Generalized anxiety disorder

Explanation: This patient has symptoms of 'excessive worries' and somatic symptoms of anxiety such as irritability, and somatic symptoms of anxiety such as muscle tension (headaches and pain in neck), irritability and fatigue. The symptoms are suggestive of generalised anxiety disorder. The symptoms were present before this job too.